The commonest bladder stone is:
1. Triple phosphate
2. Xanthine
3. Uric acid
4. Cysteine

Correct answer: 3. Uric acid

Explanation: Bladder stone Primary bladder stone- Aka Endemic bladder calculi- Most common type of primary bladder stone - Ammonium urate - other stones- Calcium oxalate. Secondary bladder stone - More common in elderly males due to BPH /Bladder outlet obstruction- Most common type of secondary bladder stone - Uric acid> Struvite- Overall secondary bladder stone - most common Investigations- Investigation of choice- Ultrasound Treatment- For small stones - cystolitholapexy- For Large stones* Electrohydraulic lithotripsy* Suprapubic cystolithotomy